Histological clefts in Lichen planus are
1. Civatte bodies
2. Wickham's Striae
3. Max - Joseph spaces
4. Auspitz's sign

Correct answer: 3. Max - Joseph spaces

Explanation: In Lichen Planus, there is degeneration of keratinocytes of stratum basale (stratum germinativum) and disruption of anchoring elements of the epithelial basement membrane and basal keratinocytes (eg: Hemi desmosomes, filaments, fibrils). This weakens the epithelial-connective tissue interface resulting in formation of histologic clefts (i.e., Max-Joseph spaces).